Sandfly transmitts which disease-
1. Oraya fever
2. Oriental sore
3. Kala-azar
4. All of the above

Correct answer: 4. All of the above

Explanation: Ans. is 'd' i.e., All of the above Diseases transmitted by sandflyo Kala-azaro Sand-fly fevero Oriental soreo Oraya fever